Metyrosine given in:
1. Malignant pheochromocytoma
2. Addisons disease
3. Depression
4. Hypertensive emergency

Correct answer: 1. Malignant pheochromocytoma

Explanation: Ans. a. Malignant pheochromocytomaRef: Goodman Gilman 13th E/P141Metyrosine competitively inhibits tyrosine hydroxylase, thereby decreasing norepinephrine synthesis in the neurons.It is used for treatment of hypertension in patients with pheochromocytoma prior to surgery along with phenoxybenzamine, which is the drug of choice.It is also used in malignant pheochromocytoma for long term management.